A patient had 3 cm mass over the lower lip and a single lymph node measuring 3 cm was present on contralateral side. TNM staging of this lip carcinoma will be:
1. T1 N2a
2. T2 N2b
3. T2 N2c
4. T1 N2b

Correct answer: 3. T2 N2c

Explanation: Tis: Carcinoma in insites.
T1: Tumor <2 cm.
T2: 2-4 cm.
T3: > 4 cm.
N1: Single ipsilateral Lymph node < 3 cm.
N2a: Single ipsilateral Lymph node > 3 cm but < 6 cm.
N2b: Multiple ipsilateral Lymph node of size < 6 cm.
N2c: Bilateral or contralateral Lymph node of size < 6 cm.
N3: Any Lymph node of size > 6 cm or pericapsular invasion.